Karl Pearson's formula is used for -
1. Cephalic index
2. Stature
3. Race
4. Age

Correct answer: 2. Stature

Explanation: Ans. is 'b' i.e., Stature * Karl Pearson's formula and Trotter's and Glesser's formula are used for estimating the stature/height of a person. These consist of some equations where certain factors are multiplied by measurement of bones to obtain the height of the person in living state.